The following is a feature of Korsakoff’s psychosis
1. Confabulation
2. Encephalopathy
3. Opthalmoplegia
4. Hallucination

Correct answer: 1. Confabulation

Explanation: Ref. Oxford textbook of Psychiatry. Page. 28
 
Anterograde amnesia is also observed in patients with Korsakoff syndrome.

Korsakoff syndrome is seen mainly in alcoholics who have a thiamine deficiency and often follows an acute presentation of Wernicke encephalopathy.
Wernicke encephalopathy presents with ocular palsies, confusion, and gait ataxia and is also related to a thiamine deficiency.
In Wernicke-Korsakoff syndrome, lesions are always found in the mammillary bodies and the dorsomedial nuclei of the thalamus.
In addition to exhibiting an anterograde amnesia, Korsakoff patients also present with retrograde amnesia.
These patients confabulate, making up stories to replace past memories they can no longer retrieve.